Renal papillary necrosis is seen in -a)  Thalassemiab)  DMc)  Phenacetin abused)  Alcoholisme) Cortical necrosis
1. abc
2. bcd
3. ac
4. bd

Correct answer: 2. bcd